Leiomyoma is a tumor of
1. cerebral tissue
2. smooth muscle
3. striated muscle
4. cardiac muscle

Correct answer: 2. smooth muscle